Nosocomial infections are those which develop:
1. 24 hours after hospitalization
2. Within 48 hours of hospitalization
3. After 48 hours of hospitalization
4. After 7 days of hospitalization

Correct answer: 3. After 48 hours of hospitalization

Explanation: Ans. (c) After 48 hours of hospitalizationRef.: K. Park 23rd ed. / 94, 359* Nosocomial infections are hospital acquired infections.* It is considered nosocomial if it develops after a minimum of 48 hours of hospitalization.* Most common organism responsible for nosocomial infection: Staph. Aureus.